QT prolongation seen in all of the following conditions except
1. Digitalis toxicity
2. Hypokalemia
3. Hypocalcemia
4. Jervell syndrome

Correct answer: 1. Digitalis toxicity

Explanation: Short QT interval seen in

Digoxin toxicity
Hypercalcemia.